Which of the following has the propensity to metastasize through lymph nodes?
1. Alveolar rhabdomyosarcoma
2. Osteosarcoma
3. Both
4. None

Correct answer: 1. Alveolar rhabdomyosarcoma